Which of Immunoglobulins is associated with allergic disorders?
1. IgG
2. IgM
3. IgA
4. IgE

Correct answer: 4. IgE

Explanation: IgE also has an essential role in type I hypersensitivity, which manifests various allergic diseases, such as allergic asthma, most types of sinusitis, allergic rhinitis, food allergies, and specific types of chronic urticaria and atopic dermatitis. Ref: Ananthanarayan & Parkers textbook of microbiology 9th edition pg:98